Holt Oram syndrome is characterized by
1. ASD
2. VSD
3. TGA
4. TAPVC

Correct answer: 1. ASD

Explanation: Holt Oram syndrome:Hypoplastic or absent radii1st-degree heart blockASD(Refer: OP Ghai's Textbook of Pediatrics, 8th edition, pg no. 401)